All of the following are the components of the white pulp of spleen, except -
1. Periarteriolar lymphoid sheath
2. B cells
3. Antigen presenting cells
4. Vascular sinus

Correct answer: 4. Vascular sinus

Explanation: Vascular sinuses are a component of the red pulp of spleen and not the white pulp.